Treatment of choice for carrier of diphtheria ?
1. Tetracycline
2. Erythromycin
3. Cotrimoxazole
4. Sulfonamide

Correct answer: 2. Erythromycin

Explanation: Ans. is 'b' i.e., Erythromycin Control of diphtheria Control diphtheria requires :? Control in cases and carrier Control for contacts (prophylaxis for contact) Prophylaxis for community - by vaccination Control in cases and carrier Early diagnosis - By nose & throat examination and culture. Isolation - For at least 14 days or until proved free of infection, i.e. at least 2 consecutive nose and throat swabs, taken 24 hours apart, should be negative before terminating isolation. Treatment Cases - Diphtheria antitoxin plus penicillin or erythromycin. Carrier - Erythromycin Prophylaxis for contacts a. Where primary immunization or booster dose was received within the previous 2 years : No further action b. Where primary course or booster dose was received more than 2 yrs before Only a booster dose of toxoid c. Non-immunized closed contact Prophylactic penicillin or erythromycin Diphtheria antitoxin Active immunization against diphtheria.